Which of the following is false regarding brain abscess
1. Most common source of infection is by direct spread from a contiguous cranial site of infection, such as paranasal sinusitis, otitis media, mastoiditis, or dental infection
2. Hematogenous abscesses are often multiple, and multiple abscesses often (50%) have a hematogenous origin.
3. Hematogenous abscesses show a predilection for the territory of the middle cerebral artery
4. Abscesses that develop as a result of direct spread of infection from the sinuses and dental infections are usually located in the temporal lobe.

Correct answer: 4. Abscesses that develop as a result of direct spread of infection from the sinuses and dental infections are usually located in the temporal lobe.

Explanation: Approximately one-third of brain abscesses are associated with otitis media and mastoiditis, often with an associated cholesteatoma. Otogenic abscesses occur predominantly in the temporal lobe (55-75%) and cerebellum (20-30%). In some series, up to 90% of cerebellar abscesses are otogenic. Abscesses that develop as a result of direct spread of infection from the frontal, ethmoidal, or sphenoidal sinuses and those that occur due to dental infections are usually located in the frontal lobes Hematogenous abscesses account for ~25% of brain abscesses. Hematogenous abscesses are often multiple, and multiple abscesses often (50%) have a hematogenous origin. These abscesses show a predilection for the territory of the middle cerebral artery (i.e., posterior frontal or parietal lobes). Hematogenous abscesses are often located at the junction of the gray and white matter and are often poorly encapsulated. Ref Harrison 20th edition page 1013.